Uterine artery embolisation is done by using:
1. Thrombin
2. Polyvinyl alcohol
3. Vitamin K
4. Iodine

Correct answer: 2. Polyvinyl alcohol

Explanation: Polyvinyl alcohol